The drug that produces neuromuscular blockade by persistent depolarization is:
1. D-tubocurarine.
2. Gallamine.
3. Pancuronium.
4. Decamethonium.

Correct answer: 4. Decamethonium.

Explanation: Decamethonium is a peripherally acting skeletal muscle relaxant. It produces an immediate and rapid depolarization of the motor end plate. D-tubocurarine, pancuronium and gallamine are competitive antagonists of acetylcholine at the motor end plate and produce skeletal muscle relaxation.